Eligible couple is:
1. Married couple
2. Married couple with husband in reproductive age group
3. Married couple with wife in reproductive age group
4. None of the above

Correct answer: 3. Married couple with wife in reproductive age group

Explanation: Eligible couples (ECs): A currently married couple with wife in reproductive age group (15-45 years age) ECs are in need of family planning services There will be atleast 150 - 180 ECs per 1000 population in India EC register is maintained as Sub-centre.